A 64 year old hypertensive obsese female was undergoing surgery for fracture femur under general anaesthesia. Intra-operatively her end-tidal carbon dioxide decreased to 20 from 40 mm of Hg, followed by hypotension and oxygen saturation of 85%. What could be the most probable cause?
1. Fat embolism
2. Hypovolemia
3. Bronchospasm
4. Myocardial infarction

Correct answer: 1. Fat embolism

Explanation: A i.e. Fat embolism